Which one of the following is an absolute contraindication to the use of thrombolytic agent in the setting of an acute anterior wall myocardial infarction-
1. History of CVA with hemiparesis one month ago
2. Diabetic retinopathy
3. Patient's age more than 70 years
4. Patients is on warfarin for A.F with INR ration 1:8

Correct answer: 1. History of CVA with hemiparesis one month ago

Explanation: Ref: R. Alagappan Manual for Medicine 4th Edition pg no:188-189 Contraindications for Thrombolytic Therapy Absolute contraindications: Active bleeding Defective haemostasis Recent major trauma Surgical procedures < 10 days Invasive procedures < 10 days Neurosurgical procedure < 2 months GI/genito-urinary bleeding < 6 months Stroke/TIA < 12 months Prolonged CPR > 10 minutes H/O CNS tumour, aneurysm, AV malformation Active peptic ulcer Aortic dissection Acute pericarditis Active inflammatory bowel disease Active cavitary lung disease Pregnancy Relative contraindications: Systolic BP > 180 mm Hg Diastolic BP >110 mm Hg Bacterial endocarditis Haemorrhagic diabetic retinopathy H/O intraocular bleeding Chronic warfarin therapy Severe renal or liver disease Severe menstrual bleeding